Cause of bladder cancer are all except:
1. Alcohol
2. Naphthylamine exposure
3. Cigarette smoking
4. Schistosoma hematobium

Correct answer: 1. Alcohol

Explanation: Ans. A: Alcohol Cigarette smoking is the main aetiological factor for bladder carcinoma 2-naphthylamine may be carcinogenic Urothelial cell carcinoma may be strongly associated with Schistosoma haematobium infection (bilharzial bladder cancer) Carcinoma urinary bladder: Over 90% are transitional cell Ca Carcinogenic compounds: - 2 - Naphthylamine - Methylene dianiline - Benzidine - 0-toluidine Occupations at risk of bladder Ca: - Textile workers - Dye workers - Tyre workers Squamous cell Ca may be seen with: - Schistosomiasis - Stones - Irradiation - Smoking Primary adenoCa may be seen with: - From urachal remnants - From area of glandular metaplasia MC site: Trigone and posterior wall MC symptom: Painless hematuria Cystoscopy is main stay of evaluation Filling defect on IVU is the MC sign Intravesical BCG vaccine may be used in initial stages Other terms: Kiss cancer: Benign bladder tumour Tear drop bladder: Pelvic hematoma